With regard to action of Raloxifene, true is
1. Agonist on Bone and Breast
2. Agonist on Bone, Antagonist on Lipids
3. Agonist on Bone, Antagonist on Endometrium
4. Agonist on Bone and Endometrium

Correct answer: 3. Agonist on Bone, Antagonist on Endometrium

Explanation: Agonist or Antagonist Effects of Estradial and Selected SERMs



Drug
Breast
Bone
Lipids
Endometrium


Tamoxifen
Antagonist
Agonist
Agonist
Agonist


Raloxifene
Antagonist
Agonist 
Agonist
Antagonist


Ospemifene
Neutral 
Agonist
Neutral 
Partial agonist


Bazedoxifene
Antagonist
Agonist
Agonist
Antagonist


Estradiol 
Agonist
Agonist
Agonist
Agonist



SERM = Selective estrogen-receptor modulator